Waterlow's classification is used in
1. Protein energy malnutrition
2. Low birth weight
3. Xerophthalmia
4. Nutritional anemia

Correct answer: 1. Protein energy malnutrition

Explanation: A. i.e. (Protein energy malnutrition) (508 - Park, 554- Park 20th)CLASSIFICATION OF PEM1. GOMEZ' classification * Based on weight retardation* Prognostic value for hospitalized childrenWeight for age(%)Weight of the child-----------Weight of a normal child of same agexl00* Between 90 and 110%* Between 75 and 89%* Between 60 and 74%* Under 60%: Normal nutritional status: 1st degree, mild malnutrition: 2nd degree moderate malnutrition: 3rd degree - severe malnutrition 2. WATERLOW'S Classification* When a child's age is known, measurement of weight enables almost instant monitoring of growth; measurements of height assess the effect of nutritional status on long term growth m = mean , SD = Standard deviation3. ARM- CIRCUMFERENCE - a relatively reliable estimation of the body *s muscle(i) Arm circumference exceeding 13.5 cm - Satisfactory nutritional status(ii) Arm circumference between 12.5 - 13.5 - Mild to moderate malnutrition(iii) Arm circumference below 12.5 cm - Severe malnutrition* Dharmendra's index and Jopling classification deals with leprosy**